Contraindications for oral contraceptive are following except :
1. Heart disease
2. Epileptic patient
3. Migraine
4. More than 30 years old

Correct answer: 4. More than 30 years old

Explanation: More than 30 years old